10 year old child with posterior fossa mass. On biopsy following features were seen. What are these dense eosinophilic fibers marked with arrow?
1. Rosenthal fibers
2. The Alzheimer type II astrocyte
3. Corpora amylacea
4. None

Correct answer: 1. Rosenthal fibers

Explanation: Ans. (a) Rosenthal fibers*Rosenthal fibers are eosinophilic, corkscrew fibers found in pilocytic astrocytoma, the most common primary brain tumor in children. They contain two heat-shock proteins (aB-crystallin and hsp27) as well as ubiquitin.*They are seen in Alexander disease and, pilocytic astrocytoma.